Standard deviation is a measure of:
1. Chance
2. Central tendency
3. Deviation from mean value
4. None

Correct answer: 3. Deviation from mean value

Explanation: The standard deviation is the positive square root of variance and is used to measure the deviation from the mean value. It gives the extent of spread of dispersion. Thus in simpler terms, the dispersion of values about the mean, is directly proportional to the standard deviation. Ref: Fundamental Statistics for The Behavioral Sciences By David C. Howell, Pages 88-90; Park's Textbook of Social and Preventive Medicine, 19th Edition, Page 701